Fisch classification is used for classifying which of the following malignancy?
1. Paravertebral tumours
2. Glomus tumor
3. Synovial sarcomas
4. Retroperitoneal tumours

Correct answer: 2. Glomus tumor

Explanation: The two grading systems which has been developed to classify glomus tumors are Fisch classification and Glasscock - Jackson classification. Fisch classification of glomus tumors: Class A: Tumors limited to the middle ear cleft. Class B: Tumors limited to the tympanomastoid area without destruction of bone in the infralabrynthine compartment. Class C: Tumors extending into and destroying the bone of the infralabrynthine and the apical compartments of the temporal bone. Class D: Tumors with intracranial intradural extension.